All of the following are true abou Mucoepidermoid carcinoma except -
1. Invades the facial nerve
2. Greater the mucin - producing cells, more malignant is the behavior
3. Behave like benign tumors in major salivary glands
4. Facial nerve preservation can be considered in low grade tumors

Correct answer: 2. Greater the mucin - producing cells, more malignant is the behavior

Explanation: Ans. is 'b' i.e.,Greater the mucin - producing cells, more malignant is the behaviour Mucoepidermoid carcinoma* Some pathologists do not consider it to be malignant and call it mucoepidermoid tumour and not cancer, but it is known to metastasize and kill.* Generally, it is slow-growing but can invade the facial nerve.* Histologically, there are areas of mucin-producing cells and the squamous cells, and hence the name. Greater the epidermoid element, more malignant is the behaviour of the tumour.* The tumours have been further classified as low grade and high grade. Low-grade tumours have good prognosis (90%, 5 years survival rate), high-grade tumours are more aggressive and have poor prognosis (30%, 5 years survival rate).* Low-grade tumours are more common in children.* Behaviour of mucoepidermoid tumours of minor salivary glands is more aggressive and akin to adenoid cystic carcinoma, but in the major salivary glands they behave like pleomorphic adenoma.* Low-grade tumours of the parotid are treated by superficial or total parotidectomy, depending on the location of the tumour. Facial nerve is preserved.* High-grade tumours being more aggressive are treated by total parotidectomy. Facial nerve may be sacrificed if invaded by the tumour.* Some surgeons also combine radical neck dissection because of high incidence of microscopic spread of the tumour.